Treatment of choice for sputum positive pulmonary tuberculosis detected in the I trimester of pregnancy is
1. Defer treatment till II trimester
2. Start Category I immediately
3. Start Category II immediately
4. Start Category III immediately

Correct answer: 2. Start Category I immediately